Where is the Cave of Retzius present
1. Between urinary bladder and rectum
2. Between urinary bladder and cervix
3. In front of the bladder
4. Between the cervix and the rectum

Correct answer: 3. In front of the bladder

Explanation: The retropubic space (also known as the prevesical space or cave of Retzius) is an extraperitoneal space located posterior to the pubic symphysis and anterior to the urinary bladder. It is separated from the anterior abdominal wall by the transversalis fascia and extends to the level of the umbilicus. Ref - BDC 6e vol2 pg372 , eahslab.com